Irreversible cell injury shows
1. Large flocculent mitochondrial densities
2. Cellular swelling
3. Plasma membrane blebbing
4. Loss of microvilli

Correct answer: 1. Large flocculent mitochondrial densities

Explanation: Reversible cell injury: Cellular swelling, fatty change, plasma membrane blebbing and loss of microvilli, mitochondrial swelling, dilation of the ER, eosinophilia (due to decreased cytoplasmic RNA)Features of irreversible cell injury are Cell membrane damage, Large flocculent, mitochondrial densities, Myelin figures, Nuclear changes: pyknosis, karyorrhexis, karyolysisRobbins 9th edition p.45-47